Gingival extension for a restoration should be:
1. At the gingival crest
2. At Least 1mm above the alveolar crest
3. At Least 3mm above the alveolar crest
4. Doesn't have any relation with alveolar crest height

Correct answer: 3. At Least 3mm above the alveolar crest